Parotid duct opens at the level of?
1. First mandibular molar
2. Second mandibular molar
3. First maxillary pre molar
4. Second maxillary molar

Correct answer: 4. Second maxillary molar

Explanation: Parotid duct/Stenson's duct passes through the buccinator muscle and pierces buccal fat, opening into the vestibule of the mouth at the parotid papilla, which lies opposite to the 2nd maxillary (upper) molar tooth.